Clergyman's knee is due to involvement of: (Repeat)
1. Infrapatellar bursa
2. Suprapatellar bursa
3. Prepatellar bursa
4. Semimembranous bursa

Correct answer: 1. Infrapatellar bursa

Explanation: Ans: A (Infrapatellar bursa) Ref: Apley's Orthopedics, 9th ed.Explanation:Infrapatellar bursitis (clergyman's knee)It is the inflammation of the infrapatellar bursa, which is located just below the patella.It is often called "clergyman's knee" due to its historical frequency amongst clergyman, who injured the bursa by kneeling on hard surfaces during prayer.Prepatellar bursitisAlso known as heat knee, carpet layer's knee, coal miner's knee, housemaid's knee, rug cutter's knee, or nun's kneeIt is an inflammation of the prepatellar bursa at the anterior to patella.It is marked by swelling at the knee, which can be tender to the touch but which does not restrict the knee's range of motion.It is most commonly caused by trauma to the knee by chronic trauma over a period of time.As such, prepatellar bursitis commonly occurs among individuals whose professions require frequent kneeling.